A 12-year-old girl is brought with short stature, short webbed neck and widely spaced nipples which is suggestive of a chromosomal abnormality, and is subsequently confirmed by karyotyping. What is the cardiovascular anomaly that is most likely to be present in this child?
1. Atrial septal defect
2. Tetralogy of Fallot
3. Coarctation of aorta
4. Patent ductus arteriosus

Correct answer: 3. Coarctation of aorta

Explanation: This child has the typical clinical presentation of Turner's syndrome: short stature, short webbed neck and broad chest with widely spaced nipples. Other features include a low posterior hairline, gonadal dysgenesis, infertility and primary amenorrhea, which may occur as the child grows. The associated cardiac anomaly in such patients is coarctation of the aorta (COA) and a bicuspid aortic valve. Physical findings of COA include upper extremity hypertension and a delay in the radio-femoral pulse. Congestive heart failure may be seen in infants with severe cases. The diagnosis is made with an echocardiogram and the treatment is surgery.